Which of the following infection predispose to cancer?
1. Schistosomiasis
2. Taenia solium
3. Taenia saginata
4. Strongyloides

Correct answer: 1. Schistosomiasis

Explanation: Ans: a (Schistosomiasis) Ref: J.P, 5th ed, p. 113S. haematobium causes bladder cancer of the squamous cell type.SchistosomiasisSchistosoma is a blood fluke (Trematode)Definitive host is manIntermediate host-snailsInfection occurs through cercariaInfectionHabitatS. haematobium - (bilharzias)Vesical and pelvic vein plexusesS. mansoni (schistosomal dysentry)Inferior mesenteric veinS.japonicumSuperior mesenteric vein-Katayama disease is caused by S. japonicumNotesFairley's test is done for schistosomiasisAutoinfection occurs in:* Enterobius vermicularis* H.nana* Strongyloides stercoralis* Taenia soliumBile stained eggs - Ascaris, Trichuris trichuraNon bi le stained eggs - Ancylostoma duodenale, Enterobius vermicularisStrongyloides is ovoviviparousEggs that float in cone, salt solution (FATEH)F -fertilized eggs of AscarisA - Ancylostoma duodenaleT - Trichuris TrichuraE - EnterobiusH - H.nana